Which of the following is a dorsal ramus of a spinal nerve?
1. Supraclavicular nerve
2. Transverse cervical nerve
3. Great auricular nerve
4. Greater occipital nerve

Correct answer: 4. Greater occipital nerve

Explanation: The greater occipital nerve is the cutaneous branch of the dorsal primary ramus of spinal nerve C2;it provides cutaneous innervation to the posterior scalp. The other nerves listed are all nerves from the cervical plexus, which is formed by ventral primary rami C1-C4. The supraclavicular nerves come from C3 and C4 in the cervical plexus. These cutaneous nerves provide sensory innervation to the skin of the root of the neck, upper chest, and upper shoulder. The great auricular nerve comes from C2 and C3 branches; it provides sensory innervation to the ear and the skin below the ear. The lesser occipital nerve also comes from C2 and C3 it innervates the skin behind the ear. The transverse cervical nerve is also a cutaneous branch from the cervical plexus from C2 and C3, providing sensory innervation to the skin of the neck anteriorly.